A 45-year-old woman is suffering from numbness over the tip of her nose. Which of the following nerves is most likely to be damaged?
1. Ophthalmic division of the trigeminal nerve
2. Maxillary division of the trigeminal nerve
3. Mandibular division of the trigeminal nerve
4. Facial nerve

Correct answer: 1. Ophthalmic division of the trigeminal nerve

Explanation: The skin over the tip of the nose is innervated by the external nasal branch of anterior ethmoidal nerve which is a branch of the nasociliary nerve of the ophthalmic division of the trigeminal nerve.